A 16-year-old girl presents with primary amenorrhea. Her secondary sexual characteristics are well developed with good axillary and pubic hair. Examination of external genitalia reveals absence of vagina. USG reveals absence of uterus. Most likely diagnosis is:
1. Androgen insensitivity syndrome
2. Gonadal agenesis
3. Mayer-Rokitansky-Kuster-Hauser syndrome
4. True hermaphrodite

Correct answer: 3. Mayer-Rokitansky-Kuster-Hauser syndrome

Explanation: Ans. is c, i.e. Mayer-Rokitansky-Kuster-Hauser syndrome16-year-old girl with primary amenorrhea andNormal secondary characteristics (Rules out gonadal dysgenesis)Normal axillary hair and pubic hair (Rules out Androgen insensitivity syndrome)USG shows absent uterusThis leaves no doubt for MRKH as the diagnosis.